46-year-old woman with prominent splenomegaly presents with a 3-month history of malaise, easy fatigability, weakness, weight loss, and anorexia. A complete blood count and differential demonstrates a white blood cell count of 250,000/mm3 (normal 3,000 to 10,000/mm3 ) with a predominance of myelocytes, metamyelocytes, band cells, and segmented neutrophils. Cytogenetic analysis is most likely to reveal which of the following translocations
1. t(8;14)
2. t(9;22)
3. t(11;22)
4. t(14;18)

Correct answer: 2. t(9;22)

Explanation: The translocation t(9;22) is the characteristic translocation associated with chronic myelogenous leukemia, forming the so-called "Philadelphia chromosome." The resultant fusion protein, p210, has increased tyrosine kinase activity that contributes to the uncontrolled proliferation in this form of leukemia. -The translocation t(14;18) is seen in follicular lymphoma -t(8;14) in Burkitt lymphoma -t(15;17) in the M3 variant of acute promyelocytic leukemia (AML) -t(11;22) in Ewing sarcoma, a relatively uncommon tumor of bone Philadelphia chromosome-In ALL The resultant fusion protein, p190, has increased tyrosine kinase activity thatcontributes to the uncontrolled proliferation acute lymphoblastic leukemia and associated with BAD prognosis.